Parvovirus B19 does not cause :
1. Roseola infantum
2. Aplastic anemia in sickle cell
3. Fetal hydrops
4. Collapsing FSGS

Correct answer: 1. Roseola infantum

Explanation: Roseola infantum or exanthem subitum is caused by HHV 6 and HHV-7 (rarely).
Diseases caused by Parvo virus :

Erythema infectiosum
Seronegative arthritis
Aplastic crisis in hemolytic anaemia
Fetal infection leads to non-immunohydrops fetalis
Chronic anaemia in immunocompromised
Hemophagocytic syndrome
Severe anaemia in malarial patients.